Most common cause of primary lung abscess is:
1. Aerobic bacteria
2. Anaerobic bacteria
3. Acid fast bacteria
4. Dimorphic fungal infection

Correct answer: 2. Anaerobic bacteria

Explanation: Most common cause of primary lung abscess is by anaerobic bacteria, usually caused by aspiration of organisms for oropharynx.